Cherry red spot is seen in -
1. Niemann - Pick's disease
2. Tay Sach's disease
3. Central retinal artery occlusion
4. All of the above

Correct answer: 4. All of the above

Explanation: Ans. is 'd' i.e., All of the above Causes of cherry red spoto GM2 gangliosidoses (Tay sachs & sandhoff)o GM1 gangliosidoseso Niemann - Pick's diseaseo Gaucher's diseaseo Metachromatic leukodystrophyo Central retinal artery occlusion (CRAO)o Trauma (Berlin's edema / commotio retinae)o Quinine and Dapsoneo Farber's diseaseo Goldberg's diseaseo Hurler's syndromeo Cryoglobulinemiao Laber's congenital amaurosiso Sialidosis (galactosialidosis)o Mucopolysacharidosis VIIo Multiple sulfatase deficiencyo Poisoning Carbon mono-oxide, methanolo Shprintzen-Goldberg syndromeo Hallervorden spatz diseaseo Rarely in krabbe's disease